Medical treatment of ectopic gestation involves use of all the following drugs except :
1. Prostaglandins
2. Methotrexate
3. RU-486
4. Dexamethasone

Correct answer: 4. Dexamethasone

Explanation: Dexamethasone